Most common symptom of Henoch Schnolein purpura Is ?
1. Intussception
2. Purpura
3. Edema
4. Vomiting

Correct answer: 2. Purpura

Explanation: HSP is a small vessel vasculitis caused by immune complex deposition following an infectious trigger. The usual presentation is with purpura over the buttocks & lower legs,accompanied by abdominal pain,gastrointestinal bleeding, & aharlgia. Reference:Davidson's principles & practice of medicine 22nd edition pg no 1119